All of the following are causes pf pancytopenia with cellular bone marrow except -
1. Paroxysomal noctural hemoglobinuria
2. Congential dyserythropoietic anemia
3. Megaloblastic anemia
4. Hairy cell leukemia

Correct answer: 2. Congential dyserythropoietic anemia